Adductor tubercle gives attachment to?
1. Adductor magnus
2. Adductor brevis
3. Adductor longus
4. Vastus intermedius

Correct answer: 1. Adductor magnus

Explanation: ANSWER: (A) Adductor magnusREF: Keith L. Moore 4th ed p. 540Repeat (**)The medial lip of the linea aspera ends below at the summit of the medial condyle, in a small tubercle, the adductor tubercle, which affords insertion to the tendon of the vertical fibers of Adductor magnus.